A boy presents with complaints of hypoaesthesia and wasting of thenar eminence. The nerve most likely to damaged in this patient?
1. Musculocutaneous nerve
2. Median nerve
3. Ulnar nerve
4. Radial nerve

Correct answer: 2. Median nerve

Explanation: Carpal tunnel syndrome is caused by swelling of the flexor digitorum superficialis, profundus, and flexor pollicis longus tendons, resulting in pressure on the median nerve. Repetitive motions of the fingers and wrist, hormonal changes, and vibration can be causes of tendon swelling. It results in tingling, numbness, and pain in the cutaneous distribution of the median nerve (lateral side). In more severe cases, atrophy of the thenar eminence may be present.